Small round cell tumors -
1. Wilm's tumor
2. Retinoblastoma
3. Rhabdomyosarcoma
4. All

Correct answer: 4. All

Explanation: Characterized by small round.. Undifferentiated cells. Patternless sheets of cells with high cellullarity. And high N: C ratio. Include ewings sarcoma, peripheral neuroectodermal tumour, thabdomyosarcoma, synovial sarcoma, non-hodgkins lymphoma, retinoblastoma etc